Which of the following is involved in the pathogenesis of myasthenia gravis?
1. Mutation in ryanodine receptors
2. Autoantibodies against acetylcholine receptors
3. Autoantibodies against synaptobrevin
4. Autoantibodies against presynaptic calcium channels

Correct answer: 2. Autoantibodies against acetylcholine receptors

Explanation: Pathogenesis of myasthenia gravis Autoimmune disorder Muscle weakness Formation of auto-antibodies against acetylcholine receptors. - Post synaptic defect